DIX-Hallpike manoeuvre is done for assessing:
1. Vestibular function
2. Corneal test
3. Cochlear function
4. Audiometry

Correct answer: 1. Vestibular function

Explanation: (a) Vestibular function(Ref. Cummings, 6th ed., page 2551)DIX-Hallpike manoeuvre is a manoeuvre to rule out BPPV (benign paroxysmal positional vertigo) in any patient presenting with vertigo.